Intrinsic Factor of Castle is secreted by which of the following cells in gastric glands?
1. Chief cells
2. Parietal cells
3. Enterochromaffin cells
4. B cells

Correct answer: 2. Parietal cells

Explanation: Parietal cells. intrinsic factor, a glycoprotein (i.e., a complex compound containing both polysaccharide and protein components) with which vitamin B12 (cyanocobalamin) must combine to be absorbed by the gut. Intrinsic factor is secreted by parietal cells of the gastric glands in the stomach, where it binds with the vitamin. Thus bound, intrinsic factor protects vitamin B12 from digestion as it passes through the gastrointestinal tract and facilitates the vitamin's absorption in the ileum of the small intestine. Ref: guyton and hall textbook of medical physiology 12 edition page number: 408,409,410